Bony septal perforation occurs in:
1. TB
2. Syphilis
3. Leprosy
4. Sarcoidosis

Correct answer: 2. Syphilis

Explanation: (b) Syphilis(Ref. Scott Brown, 6th ed., Paediatric, 4/ 11/19)Syphilis leads to perforation of the bony part of nasal septum. Another important cause of bony septal perforation is Wegener's granulomatosis.Rest options may lead to perforation of the cartilaginous part of the septum.